BCG is used for
1. Treatment of tuberculosis
2. Treatment of superficial bladder cancer
3. Treatment of anthrax
4. All of the above

Correct answer: 2. Treatment of superficial bladder cancer

Explanation: Ref-Goodman and Gillman 11/e p1422 BCG is used for immunizatiin against TB.it is also used for the treatment of superficial bladder cancer .it is directly instilled in the urinary bladder for this purpose